All of the following adverse effects are associated with carbamazepine except:
1. Teratogenicity
2. Neurotoxicity
3. Decrease in antidiuretic hormone
4. Hypersensitivity

Correct answer: 3. Decrease in antidiuretic hormone

Explanation: Carbamazepine It is an antiepileptic Chemically related to imipramine, it was introduced in the 1960s for trigeminal neuralgia; is now a first line antiepileptic drug. Its pharmacological actions resemble phenytoin, but important differences have been noted in experimental studies. Adverse effects Carbamazepine produces dose-related neurotoxicity-sedation, dizziness, vertigo, diplopia and ataxia. Vomiting, diarrhoea, worsening of seizures are also seen with higher doses. Acute intoxication causes coma, convulsions and cardiovascular collapse. Hypersensitivity reactions are rashes, photosensitivity, hepatitis, lupus like syndrome, rarely agranulocytosis and aplastic anaemia. Some degree of leucopenia due to hypersensitivity is more common. Water retention and hyponatremia can occur in the elderly because it enhances ADH action. Increased incidence of minor foetal malformations has been reported. Its combination with valproate doubles teratogenic frequency. Ref KD Tripati 8thh ed.